A patient presents with headache, intermittent claudication and dizziness. Which of the following may be the underlying cause -
1. Tetrology of Fallot
2. Coarctation of aorta
3. Patent ductus arteriosus
4. Atrial septal defect

Correct answer: 2. Coarctation of aorta